Among the toxin produced by Clostridium botulinum, the non neurotoxic one is
1. A
2. B
3. C1
4. C2

Correct answer: 4. C2

Explanation: (D) C2 # Classification: Eight types of Cl. botulinum have been identified (Types A, B, Cl, C2, D, E, F, G) based on the immunological difference in the toxins produced by them. The toxins produced by the different types are identical in their pharmacological activity but are neutralised only by the homologous antiserum.> An exception is C2 toxin, which shows enterotoxic activity, while all the others are neurotoxins.